A Patient presents with abdominal discomfort, bloating and pain. On an MRI bilateral ovarian tumors with involvement of pelvic lymph node and liver capsule are seen.What is the appropriate staging of this ovarian tumor ?
1. Stage 1
2. Stage 2A
3. Stage 2B
4. Stage 3

Correct answer: 4. Stage 3

Explanation: Stage 3 : one or bilateral ovarian tumor + cytologically or histologically confirmed spread to peritoneum outside pelvis (liver or spleen capsular involvement) and/or retroperitoneal lymph node involvement NOTE: involvement of liver/spleen parenchyma is stage IV